Woods lamp has a frequency of –
1. 250 nm
2. 300 nm
3. 320 nm
4. 360 nm

Correct answer: 4. 360 nm

Explanation: The filter of wood lamp allows only certain wavelengths of UV rays (365 nm) to filter through